Which coagulation factor is not in circulating form in blood?
1. F XI
2. F X
3. F III
4. F XIII

Correct answer: 3. F III

Explanation: Ans. (c) F IIITissue factor (factor III) is also called as platelet tissue factor. It is found on the outside of blood vessels and is not exposed to the bloodstream. It initiates the extrinsic pathway at the site of injury.